Cross-resistance can be one way or two way, one-way resistance can be seen in:
1. Neomycin and streptomycin
2. Tetracycline and doxycycline
3. Sulphadiazine and sulphadoxine
4. None of the above

Correct answer: 1. Neomycin and streptomycin

Explanation: Organisms that develop resistance to an antimicrobial agent may also show resistance to other  chemically related AMAs. The cross-resistance among AMAs could either be one-way or two-way.  Cross-resistance among tetracyclines and sulphonamides is usually ‘two-way’.